In an adult male, on per rectal examination, the following structures can be felt anteriorly except?
1. Internal iliac lymph nodes
2. Bulb of the penis
3. Prostate
4. Seminal vesicle when enlarged

Correct answer: 1. Internal iliac lymph nodes

Explanation: Internal iliac lymph nodes can be palpated laterally when they are enlarged & not anteriorly.